ED 50 is a measure of-
1. Toxicity
2. Safety
3. Potency
4. Efficacy

Correct answer: 3. Potency

Explanation: Ans. is 'c' i.e., Potency Median effective dose o The dose that will produce half the maximum (50%) response. o More the ED, is the potency.